Contraindicated in glaucoma is
1. Atropine
2. Pilocarpine
3. Timolol maleate
4. Latanoprost

Correct answer: 1. Atropine

Explanation: (Atropine): Ref: 222-KH (147-P)* Topical beta blockers are the first drug choice for medical therapy of primary open angle glaucoma (POAG) E.g. Timolol maleate, Betaxolal, Levobunolol, carteolol* Pilocarpine: - Contracts longitudinal muscle of ciliary body and opens spaces in trabecular mushwork, thereby mechanically increased aqueous outflow.* Dorzolamide: - topically carbonate anhydrase inhibitor* Latanoprost: - (prostaglandins F2a) decreases the IOP by increading the uveo-scleral out flow of aqueous.* Adrenergic drugs- Epinephrine, Apraclonidine and brimonidine* Atropine - are contraindicated in individuals with narrow iridocorneal angle - may precipitate acute congestive glaucoma, however marked rise in IOP its rare in patients with wide angle of glaucoma (100-KDT)